A 40 year old male female patient on long term steroid therapy presents with recent onset of severe pain in the right hip. Imaging modality of choice for this problem is -
1. CT scan
2. Bone scan
3. MRI
4. Plain x-ray

Correct answer: 3. MRI

Explanation: Recent onset of severe hip pain with given history of long term use of steroid suggests the diagnosis of Avascular necrosis. The investigation of choice for Avascular necrosis is MRI Hence the answer here is MRI